Mannitol infusion causes increase in -
1. Blood viscosity
2. Osmolarity
3. Intra-ocular tension
4. Intercranial tension

Correct answer: 2. Osmolarity

Explanation: Ans. is 'b' i.e., Omolarity o Mannitol is an osmotic agent - It raises osmolarity of plasma.o It causes decrease in :-Blood viscosityIntraocular pressureIntracranial tensiono These effects are due to movement of water (osmotically) from various interstitial space/intracellular space into intervascular space.